The chemotherapentic agent used in brain tumour is-
1. Cisplatin
2. Bleomycin
3. Nitrosoureas
4. Vincristine

Correct answer: 3. Nitrosoureas

Explanation: Ans. is 'c' i.e., Nitrosoureas o Nitrosoureas are highly lipid soluble and can cross blood brain barrier --> used in brain tumors like gliomas.